Surgical excision is contraindicated in:
1. Olecranon process
2. Patella
3. Head of radius
4. Lateral condyle humerus

Correct answer: 4. Lateral condyle humerus

Explanation: Lateral condyle of humerus is never excised because it forms the physeal region. Surgical excision 1. Done in comminuted fracture patella, olecranon and head radius (outer 1/3rd ). 2. Head and neck of femur are excised and replaced by prosthesis in fracture neck femur > 65 years of age. Excision is contraindicated in growth plate injury, e.g. Lateral condyle fracture.